Howe and Poyton (1960) developed a criteria to diagnose the
1. Relation of long axis of the impacted tooth to the long axis of the second molar
2. Configuration of the roots of the impacted mandibular 3rd molar
3. Relationship of the root apices of impacted 3rd molars to the inferior alveolar canal
4. Position and depth of the impacted mandibular 3rd molar

Correct answer: 3. Relationship of the root apices of impacted 3rd molars to the inferior alveolar canal